A 40-year-old woman with leukemia is treated with chemotherapy. During treatment she develops increasing cough and shortness of breath. A chest X-ray shows diffuse lung infiltrates. Sputum cultures are negative and the patient does not respond to routine antibiotic therapy. An open lung biopsy is diagnosed by the pathologist as viral pneumonia. Which of the following histopathologic findings would be expected in the lungs of this patient?
1. Clusters of epithelioid macrophages
2. Confluent areas of caseous necrosis
3. Fibrous scarring of lung parenchyma
4. Hyaline membranes and interstitial inflammation

Correct answer: 4. Hyaline membranes and interstitial inflammation

Explanation: Viral infections of the pulmonary parenchyma produce diffuse alveolar damage (DAD) and interstitial pneumonia. Necrosis of type I pneumocytes and the formation of hyaline membranes result in an appearance that is indistinguishable from DAD in other settings. The other choices are not characteristic of interstitial pneumonia.Fibrous scarring of lung parenchyma may be a late complication of some forms of this disorder.